The following are true regarding Lyme's Disease, except -
1. It is transmitted by ixotid tick.
2. Erythema chronicum migraines may be a clinical feature
3. Borrelia recurrentis is the aetiological agent
4. Rodents act as natural hosts

Correct answer: 3. Borrelia recurrentis is the aetiological agent

Explanation: Borrelia burgdorferi is the causative agent of Lyme’s disease
Lyme’s disease is transmitted by ixodid tick
Erythema migrans (annular skin lesions) occurs in 1st stage
Rodents act as natural hosts.